A patient comes with sudden respiratory distress, on examination, bilateral basal crepts are present over chest suggestive of pulmonary edema with normal alveoler wedge pressure. The likely cause is
1. Narcotic overdose
2. Congestive heart failure
3. Myocardial infarction
4. Cardiogenic shock

Correct answer: 1. Narcotic overdose